PR interval in ECG denotes
1. Isovolumetric contraction of ventricle
2. Insovolumetric relaxation of heart
3. Atrial contraction
4. None

Correct answer: 3. Atrial contraction

Explanation: Ans. (c) Atrial contractionRef: Ganong, 25th ed/p.525PR interval#From the onset of P wave to the beginning of QRS complex#Duration - 0.12 to 0.20 sec#Denotes atrial contraction and Atrioventricular (AV) conduction time